All of the following factors increases the density of X-ray except:
1. Increasing the kVp
2. Reducing the distance between focal spot and film
3. Decreasing the mA
4. None of the above

Correct answer: 3. Decreasing the mA

Explanation: Factors that increase the density of X-ray:

Increasing the mA, KVp or exposure time increases the density.
Reducing the distance between focal spot and films also increases film density.
Density is inversely proportional to subject thickness and subject density due to beam attenuation.